Commonest cancer of the oral cavity is -
1. Adenocarcinoma
2. Melanoma
3. Sarcoma
4. Squamous cell carcinoma

Correct answer: 4. Squamous cell carcinoma